Material used in verterbroplasty is :
1. Isomethyl methacrylate
2. lsoethyl methacrylate
3. Polyethyl methacrylate
4. Polymethyl methacrylate

Correct answer: 4. Polymethyl methacrylate

Explanation: Polymethyl methacrylate [Ref: Harrison 17/e p112; Vertebroplasty and kyphoplasty are interventional radiologic procedures for the treatment of the intense pain refractory to medical management or bracing caused by vertebral compression fracture associated with osteoporosis, tumors, and trauma. Vertebroplasty and kyphoplasty involve intraosseous injection of acrylic cement- polymethyl methacrylate under local anesthesia and fluoroscopic guidance. Pain reduction or elimination is immediate, and the risk of complications is low. Neither vertebroplasty nor kyphoplasty are intended for the treatment of intervertebral disc disease or arthritis. Vertebroplasty may also be applied prophylactically to an at-risk vertebra between 2 other abnormal vertebrae. Vertebroplasty does not restore the height of the compressed vertebral body. A related procedure, kyphoplasty, is intended to restore lost height by inflating a balloon pump within and between the fracture fragments prior to the infusion of the cement. Both procedures result in similar relief of pain due to vertebral compression fractures. The risks of the procedure are low and include extravastion of cement into the epidural space causing myelopathy, or fatal pulmonary embolism from extension of cement into paraspinous veins.